During antenatal visit 24 year old primi is discovered to be positive for Hepatitis - B . How will you manage her newborn
1. Give Hepatitis - B immunoglobulin immediately after delivery
2. Test for neonatal hepatitis - B antigen status
3. Give Hepatitis B immunoglobulin and immunize against Hepatitis B (vaccine)
4. None of the above

Correct answer: 3. Give Hepatitis B immunoglobulin and immunize against Hepatitis B (vaccine)

Explanation: If mother is seropositive for hepatitis B surface antigen, then neonate should be passively immunized with immunoglobulins along with routine immunization with hepatitis B-vaccine.